A = ACE inhibitor, B = beta blocker, C = calcium channel blocker, D= diuretics. For elderly with hypertension antihypertensive drug of choice is ?
1. A or D
2. A or B
3. A or C
4. C or D

Correct answer: 4. C or D

Explanation: Ans. is 'd' i.e., C or D Pharmacological treatment of hypertension Indications of drug therapy (the British hypertension society guidelines). When sustained BP exceeds 160/100 mmHg or. When BP is in the range of 140-159 / 90-99 mmHg and there is target organ damage or cardiovascular disease. For diabetics when BP exceeds 140/90 mmHg. The optimal target is to lower BP to or below 140/85 mmHg in nondiabetics and 140/80 mmHg in diabetics (WHO target is 130/85 mmHg). Drug therapy A simple stepped AB/CD regimen is used.